Least clearance is for among these
1. Glucose
2. Inulin
3. Urea
4. Creatinine

Correct answer: 1. Glucose

Explanation: Glucose is completely reabsorbed in proximal tubules. So its clearance is zero.